Which of the following is true regarding the principle of use of MRCP
1. Intra liminal dye is used to create the three dimension view of the structures
2. Dye is instilled percutaneously first then MRI is used
3. Use of heavily T2-weighted image without contrast to create the three dimensional image of the biliary tree using MIP algorithm
4. Use of systemic Gadolinium as a contrast agent to create the three dimensional image of the biliary tree

Correct answer: 3. Use of heavily T2-weighted image without contrast to create the three dimensional image of the biliary tree using MIP algorithm

Explanation: MRI cholangiography and MRI cholangiopancreaticography (MRCP) are imaging techniques used to evaluate the biliary system. Heavily T2- weighted images are used to provide an overview of the biliary system and pancreatic duct Excellent diagnostic - quality images are obtainable, with high sensitivity and specificity for evaluation of biliary duct dilation, strictures and intra ductal abnormalities Ref: Blumgart surgery of liver, biliary tract and pancreas 5th edition Pgno : 315